In sanitary or hygienic pontics, the gap between the gingival tissue and pontic should be at least:
1. 2 mm
2. 3 mm
3. 4 mm
4. 5 mm

Correct answer: 1. 2 mm